Daily water requirement in child weighing 30 kgs, height 123 m and BSA of 1 m2 is-
1. 1300 m1
2. 1700 ml
3. 2000 ml
4. 2500 ml

Correct answer: 2. 1700 ml

Explanation: Ans. is 'b' i.e., 1700 ml Fluid requirment in a child o It depends on the weight of a child :- Weight Water requirments < 10 kg o 100 ml/kg/day 10-20 kg o 100 ml / kg / day for first 10 kg (i.e. 1000 ml) + 50 ml / kg / d for every kg above 10 kg. >20 kg o 100 ml/kg/day for first 10 kg (i.e. 1000 ml) + 50 ml / kg / d for next 10 kg (i.e. 500 ml) + 20 ml / kg / d for every kg above 20 kg. o The child in question has weight of 30 kg. o So, fluid requirment will be :- i) 1000 ml for first 10 kg Plus ii) 500 ml for 10-20 kg Plus iii) 200 ml (20 x 10) for 20-30 kg o Total requirment will be 1700 ml.